Albumino cytologic dissoscition occurs in cases of
1. Gullian Barre syndrome
2. TB meningitis
3. Motor Neuron disease
4. Demyelinating disorder

Correct answer: 1. Gullian Barre syndrome

Explanation: Gullian Barre syndrome What are the symptoms of Guillain-Barre syndrome? tingling or prickling sensations in your fingers and toes. muscle weakness in your legs that travels to your upper body and gets worse over time. difficulty walking steadily. difficulty moving your eyes or face, talking, chewing, or swallowing. severe lower back pain. Refer Robbins page no 1231